A perception experienced in the absence of an external stimulus in clear consciousness is:
1. Delusion
2. Hallucination
3. Illusion
4. Pseudohallucination

Correct answer: 2. Hallucination

Explanation: Ans. B. Hallucination3 criteria are essential for definition of hallucination:(A) Percept-like experience in the absence of an external stimulus;(B) Percept-like experience that has the full force and impact of a real perception; and(C) Percept-like experience that is unwilled, occurs spontaneously, and cannot be readily controlled by the percipient